A 6 year old presents to the Pediatrician with a bleeding friable papule on the right temple that was first noted 3 weeks ago. What is the most likely diagnosis?
1. Keratoacanthoma
2. Infantile Hemangioma
3. Kaposiform Hemangio endothelioma
4. Pyogenic Granuloma

Correct answer: 4. Pyogenic Granuloma

Explanation: Pyogenic Granuloma Vascular nodule develops rapidly at the site of recent injury, composed of lobular proliferation of capillaries in loose stroma. Tumour is vascular, bright red to brownish-red. It is partially compressible, but cannot be completely blanched and does not show pulsation. Size : 5-10 mm, but may reach 50 mm. It is rounded & base is pedunculated. Common sites: hands, feet, lips, head, upper trunk and perianal area. Lesions are not painful; patients mainly complain of bleeding. Superficial infantile haemangioma : Sharply circumscribed oval or round, soft, domed swelling of intense scarlet-red colour. Deep infantile haemangiomas : can be compressed and quickly regain their original dimensions on release of pressure. Become larger and darker when the child screams or cries. Keratoacanthoma is a skin lesion that erupts in sun-damaged skin. Kaposiform hemangioendothelioma (KHE) is a rare and aggressive vascular tumor that is benign . It is an abnormal growth made up of blood vessels.